White lathery froth is seen in deaths due to :
1. Drowning
2. Hanging
3. Organophosphours poisoning
4. Mineral acid poisoning

Correct answer: 1. Drowning

Explanation: A i.e. Drowning